Kupffer cells are a type of
1. Dendritic cells
2. Maqrophages
3. B cells
4. T cells

Correct answer: 2. Maqrophages

Explanation: Macrophages (Kupffer Cells) in the Liver Sinusoids.ln the liver sinusoids, lined with tissue macrophages called Kupffer cellsRef: Guyton and Hall textbook of medical physiology 13th edition. Page: 459